Cause of pulsating proptosis
1. Lymphoma
2. Caroticocavernous fistula
3. Orbital cellulitis
4. Mucocele of paranasal sinuses

Correct answer: 2. Caroticocavernous fistula

Explanation: Causes of Pulsatile Proptosis Caroticocavernous fistula Aneurysms of Ophthalmic artery Transmitted cerebral pulsation from deficient orbital roof like congenital meningocele / meningo-encephalocele